Which of the following ligament is the main support of uterus?
1. Cardinal
2. Broad
3. Round
4. Pubocervical

Correct answer: 1. Cardinal

Explanation: Ligaments supporting the uterus consist of the uterosacral ligaments, the transverse ligaments of the cervix (cardinal ligaments, cardinal supports, ligamentum transversum colli, ligaments of Mackenrodt), the round ligaments, and the broad ligaments. There are 2 pairs of ligaments continuous with the parametrium and with the wall of the cervix: the uterosacral ligaments and the transverse (cardinal) ligament of the neck, the latter of which is the chief means of support and suspends the uterus from the lateral walls of the pelvis minor. Ref: Heitmann R.J. (2013). Chapter 1. Anatomy of the Female Reproductive System. In A.H. DeCherney, L. Nathan, N. Laufer, A.S. Roman (Eds), CURRENT Diagnosis & Treatment: Obstetrics & Gynecology, 11e.